Commonly affected lymph nodes in non-Hodgkin's Lymphoma are all except
1. Epitrochear Lymph nodes
2. Peripheral lymph nodes
3. Inner waldeyer ring
4. Mediastinal lymph nodes

Correct answer: 4. Mediastinal lymph nodes

Explanation: Inner Waldeyer Ring, Epitrochlear lymph nodes, Peripheral lymph nodes are commonly involved in Non-hodgkin's Lymphoma.